Excess secretion of aldosterone causes all except
1. Increased ECF
2. Very High Na+ in plasma
3. Increased BP
4. Natriuresis

Correct answer: 2. Very High Na+ in plasma

Explanation: B i.e. Very High Na+ in plasma Hyperaldosteronism (excess mineralocoicosteroid) leads to potassium (K+) depletion/ hypokalemia and sodium (Na+) retention, usually without edema but with weakness tetany, polyuria, hypertension and hypokalemic mild metabolic alkalosisQ. Hyperaldosteronism does not cause metabolic acidossQ. And plasma Na+ level is elevated only slightly if at allQ because water is retained with osmolically active Na+ ions.